Largest tooth in the mandibular arch is:
1. Canine
2. Deciduous first molar
3. Permanent first molar
4. Third molar

Correct answer: 3. Permanent first molar